Pneumothorax is a complication of
1. Axillary block
2. Brachial plexus block
3. Epidural block
4. High Spinal block

Correct answer: 2. Brachial plexus block

Explanation: B i.e. Brachial Plexus block Brachial plexus block with interscalene approach provides most intense anesthesia in C5-C7 dermatomes and least intense in C8-T1 (ulnar nerve) area.